A patient complains of knee pain. Routine investigations are unremarkable and still, the patient is unsatisfied. Urine turns black on standing, what is the enzyme involved?
1. Homogentisate oxidase
2. Xanthine oxidase
3. Methyl malonate oxidase
4. Phenyl pyruvate oxidase

Correct answer: 1. Homogentisate oxidase

Explanation: Alkaptonuria - Due to deficiency of Homogentisate dioxygenase/ oxidase (requires Iron) Fresh urine is normal in colour On standing or on exposure to air - turns Black - Homogentisic acid accumulated - get oxidised - gives rise to Black urine - Homogentisic acid gets polymerized in body forming ALKAPTON BODIES, which gets accumulated in: Cartilages - Nose, ear pinna, intervertebral disc Connective tissue has bluish black colour. Patient develops arthralgia & arthritis. - This condition is known as Ochronosis. Arthritis is also known as ochronotic arthritis - Benedict 's test is positive due to homogentisic Acid, which is a Reducing substance - Treatment drug is NITISINONE